Which characteristic feature is seen in the kidney in Malignant hypertension:
1. Hyaline necrosis
2. Fibrinoid necrosis
3. Medial wall hyperplasia
4. Micro-aneurysm

Correct answer: 2. Fibrinoid necrosis

Explanation: Answer is B (Fibrinoid necrosis): Malignant hypertension is characterized by Fibrinoid necrosis (Necrotizing arteriolitisQ) of arterioles.